Very low birth weight is less than:
1. 1000 gm
2. 1500 gm
3. 2000 gm
4. 2500 gm

Correct answer: 2. 1500 gm

Explanation: Ans. B: 1500 gmVery low birthweight is a term used to describe babies who are born weighing less than 1,500 grams.